In coarctation of aorta, site of rib notching is?
1. Superior to rib
2. Inferior to rib
3. At sternum
4. At Vertebra

Correct answer: 2. Inferior to rib

Explanation: Ans. (b) Inferior to ribCauses of inferior rib notchingCauses of superior rib notching* Arterial: aortic coarctation, aortic thrombosis, pulmonary- oligemia/AV malformation, Blalock Taussig shunt, Tetralogy of fallot, absent pulmonary artery and pulmonary stenosis.* Venous: AV Malfomations of chest wall, superior vena cava or other central venous obstruction.* Neurogenic: Intercostal neuroma, Neurofibromatosis type 1, poliomyelitis.* Osseous: Hyperparathyroidism, Thalassemia* Poliomyelitis* Osteogenesis Imperfecta* Neurofibromatosis* Marfan's Syndrome* Collagen vascular disease* Hyperparathyroidism.